Virchows method of organ removal is:
1. Organs removed en masse
2. Organs removed one by one
3. In situ removal
4. Minimal invasive autopsy

Correct answer: 2. Organs removed one by one

Explanation: Ans. (B). Organs removed one by oneOrgans removed en masse - Lettules methodQOrgans removed one by one - virchows methodQOrgans removed as block - Ghons methodIn situ removal - rokintanskyQ method (InfantsQ, radiation hazardQ, HIV)Minimal invasive autopsy - VitropsyQ